Embryologically, forehead develops from:
1. Maxillary process
2. Mandibular process
3. Frontonasal process
4. None of the above

Correct answer: 3. Frontonasal process

Explanation: Frontonasal process forms the forehead, the nasal septum, philtrum of upper lip and premaxilla bearing upper four incisor teeth. 
Maxillary process forms whole of upper lip, except the philtrum and most of the hard and soft palate, except the part formed by the premaxilla. Mandibular process forms the whole lower lip.